Lisfrans fracture dislocation-
1. Fracture dislocation through tarso-metatarsal joints
2. Fracture dislocation through ankle joint
3. Fracture dislocation through subtalar joints
4. Fracture dislocation through mid - tarsal joints

Correct answer: 1. Fracture dislocation through tarso-metatarsal joints

Explanation: Ans. is 'a' i.e., Fracture dislocation through tarso-metatarsal joints Lisfranc's fracture-dislocation: A fracture dislocation through tarso-metatarsal joints.